Best epidemiological tool for investigation of hepatitis B is:
1. Anti-HBsAg
2. Anti-HBcAg
3. Anti-HBeAg
4. HBcAg

Correct answer: 2. Anti-HBcAg

Explanation: Ans. (b) Anti-HBcAg